Which of the following is not same in monozygotic twins
1. Sex
2. Finger prints
3. Blood group
4. Histocompatibilty

Correct answer: 2. Finger prints

Explanation: Monozygotic twin features: Same sex Same genetic features Acceptance of reciprocal skin graft Similar physical and behavioral features . Ref : Dutta Obs 9e pg 190.